All of the following cephalosporins have good activity against Pseudomonas aeruginosa EXCEPT :
1. Cefadroxil
2. Cefepime
3. Cefoperazone
4. Ceftazidime

Correct answer: 1. Cefadroxil

Explanation: First generation cephalosporins like cefadroxil are mainly effective against gram +ve organisms and possess little activity against Pseudomonas.